Nerve supply of superior oblique muscle is by -
1. Trochlear nerve
2. Oculomotor nerve
3. Abducens
4. Optic nerve

Correct answer: 1. Trochlear nerve

Explanation: Ans. is 'a' i.e., Trochlear nerve Oculomotor nerveMedial rectus. Inferior rectus, Superior rectus, Inferior obliqueTrochlear nerveSuperior ObliqueAbducensLateral rectus